The gene for folic acid transporter is located on which chromosome:
1. 5
2. 15
3. 21
4. X

Correct answer: 3. 21

Explanation: C i.e. 21Folic acid transporter gene (SLC 19 ARTI solute carrier family 19) is located on long arm of chromosome 21 (21q) Q at band 22.3. Transport of folate occurs by potocytosis which functionally couples folate receptor, folate transporter and V- type h+ pump.